Loeffler's syndrome occurs in all except -
1. Toxocara
2. Strongyloides
3. Ascaris
4. Giardia

Correct answer: 4. Giardia

Explanation: Loeffler's syndrome was originally reported as a benign, acute eosinophilic pneumonia of unknown cause characterized by migrating pulmonary infiltrates and minimal clinical manifestations.
It may be secondary to parasites or drugs.
Parasite causing Loeffler's syndrome:

- Ascaris
- Toxocara
- Ancylostoma duodenale
- Nectar americans
- Paragonimus westermani
- Strongyloides stercoralis
- Echinococcus granulosus